A 13 yr old girl from Himachal Pradesh presents with non-healing leg ulcers. Which of the following is likely to be the causative agent?
1. Sporothrix
2. Cladophora
3. Aspergillus
4. Bacteroids

Correct answer: 1. Sporothrix

Explanation: Sporothrix infection is prevalent in temperate climate and non-healing leg ulcer is a sign of Sporothrix infection. Ref: CMDT , 2008, Chapter 36 , Page 1337